The learning theory of digit sucking was proposed by
1. Davidson, 1967
2. Sears and Wise, 1982
3. Johnson and Larson, 1993
4. Sigmond Freud, 1905

Correct answer: 1. Davidson, 1967

Explanation: The learning theory: Davidson (1967)
This theory advocates that non-nutritive sucking stems from an adaptive response.
The infant associates sucking with such pleasurable feelings as hunger. These events are recalled by sucking the suitable objects available, mainly thumb or finger.